Common side effects of chlorpromazine are all except:
1. Osteoporosis
2. Parkinson's disease
3. Skin rash
4. Amenorrhoea

Correct answer: 1. Osteoporosis